The branch of biostatistics which deals with the births, deaths and marriage is called as:
1. Health
2. Medical
3. Demography
4. Vital

Correct answer: 4. Vital